Cellular immunity is induced by?
1. NK-cells
2. Dendritic-cells
3. TH I-cells
4. TH2-cells

Correct answer: 3. TH I-cells

Explanation: Ans. is 'c' i.e., TH1 cells